Charcot Leyden crystal in stool in seen in:
1. Amoedbic dysentery
2. bacillary dysentery
3. Shigella
4. bacillus cereus

Correct answer: 1. Amoedbic dysentery

Explanation: Ans. a. Amoebic dysentery